Drug of choice for Anterior Uveitis is:
1. Topical steroid
2. Oral stroid
3. Topical Antibiotics
4. Atropine

Correct answer: 1. Topical steroid

Explanation: Topical steroid